Following is given with iron to increase its absorption ?
1. Milk
2. Antacids
3. Citrus fruits
4. Alkalies

Correct answer: 3. Citrus fruits

Explanation: Ans. is 'c' i.e., Citrus fruits Citrus fruits are good sources of vitamin C (ascorbic acid) which increases intestinal absorption of iron.